Which of the following is not a component of fatty acid synthase complex?
1. Enoyl reductase
2. Acetyl transacylase
3. Acetyl-CoA carboxylase
4. Ketoacyl synthase

Correct answer: 3. Acetyl-CoA carboxylase

Explanation: Fatty Acid Synthase Complex is a multienzyme complex having six enzymatic activities. These are : 1. Enoyl reductase 2. Ketoacyl reductase 3. Ketoacyl synthase 4. Thioesterase 5. Hydratase 6. Acetyl malonyl transacylase It does not contain Acetyl-CoA carboxylase (Option 3). Acetyl CoA carboxylase is a separate enzyme required in the pathway of fatty acid synthesis. It helps in converting acetyl CoA to malonyl CoA at the start.